Ophthalmoscopic sign pathognomonic of optic nerve sheath meningioma is:
1. Papilloedema
2. Optic atrophy
3. Opticociliary shunt
4. All of the above

Correct answer: 3. Opticociliary shunt

Explanation: Ans. Opticociliary shunt